Minimum inhibitory concentration is -
1. The concentration of antibiotic which kills 99.9% of the bacteria
2. Maximum concentration of an antibiotic which prevents visible growth of a bacterium
3. Minimum concentration of an antibiotic which prevents visible growth of a bacterium
4. None of the above

Correct answer: 3. Minimum concentration of an antibiotic which prevents visible growth of a bacterium

Explanation: Ans. is 'c' i.e., Minimum concentration of an antibiotic which prevents visible growth of a bacterium o Potency of antimicrobial agents is often referred as MIC. Minimum inhibitory concentration (MIC) o Lowest concentration of an antibiotic which prevents visible growth of a bacterium. Minimum bactericidal concentration (MBC) o The concentration of an antibiotic which kills 99.9% of the bacteria. A small difference between MIC and MBC indicates that the antibiotic is primarily bactericidal, while a large difference indicates bacteriostatic action.